Complication of Kerosene poisoning :
1. Pneumonia
2. Vomiting
3. Hemoptysis
4. Diarrhoea

Correct answer: 1. Pneumonia

Explanation: A i.e. Pneumonia